Lacy White lesions in the mouth with pterygium is seen in:
1. Psoriasis
2. P. Alba
3. Lichen planus
4. Leprosy

Correct answer: 3. Lichen planus

Explanation: Purple polygonal papules marked by severe pruritus; lacy white markings called as Wickam's Striae, especially associated with mucous membrane lesions & pterygium are diagnostic of Lichen planus.